Criteria for a disease fit for screening including-
1. It should be an important public health problem
2. Facilities should be available for confirmation
3. There should be sufficiently long time available
4. All of the above

Correct answer: 4. All of the above

Explanation: .the disease can be screened if it satisfies the following conditions such as, *an important health problem it must be *there should be a recognisable latent or early asymptomatic stage. *natural history of condition *tets that detect the disease prior to the onset of symptoms *an effective treatment. *agreed on policy concerning whom to treat as patients. ref:park's textbook ,22 nd edition,pg no 129